Most common site of Necrobiosis lipioidica dibeticorum is?
1. Face
2. Neck
3. Front of leg
4. Back of leg

Correct answer: 3. Front of leg

Explanation: Front of leg REF: Rook's 8`h edition p. 60.13 Most common site of Necrobiosis lipioidica dibeticorum is pretibial skin, lesions may occur on trunk, penis or may be diffuse